Secondary granules in neutrophil is: .
1. Lactoferrin
2. Proteolytic enzymes
3. Nucleotidase
4. Catalase

Correct answer: 1. Lactoferrin

Explanation: Ans. is 'a' lactoferrin Lactoferrin in an enzyme present in the secondary granules of neutrophils. Neutrophil has 2 granules - primary & secondary. Enzymes present in these 2 are given below